Refractive surgery most commonly performed for myopia-
1. Radial keratotomy
2. LASIK
3. Photorefractive keratectomy
4. Lensectomy

Correct answer: 2. LASIK

Explanation: Laser in-situ keratomileusis (LASIK). In this technique first a flap of 130-160 micron thickness of anterior corneal tissue is raised. After creating a corneal flap midstromal tissue is ablated directly with an excimer laser beam, ultimately flattening the cornea . Currently this procedure is being considered the refractive surgery of choice for myopia of up to - 12 D. Reference : A K KHURANA OPHTALMOLOGY,Edition 4,Page-47